Which of the following potassium sparing diuretics reduce cardiac mortality
1. Spiranolactone
2. Amiloride
3. Triampterine
4. All the above

Correct answer: 1. Spiranolactone

Explanation: Spironolactone is a potassium-sparing diuretic (water pill) that prevents your body from absorbing too much salt and keeps your potassium levels from getting too low.Spironolactone is used to treat heart failure, high blood pressure (hypertension), or hypokalemia (low potassium levels in the blood). Refer kDT 7/e p 524